Most radiosensitive phase of cell cycle is:
1. GI
2. G-2
3. S
4. M

Correct answer: 4. M

Explanation: Ans. M